The most likely diagnosis in the case of a patient with multiple pulmonary cavities, hematuria and red cell casts is
1. Anti-GBM disease
2. Churg-Strauss
3. Systemic lupus erythematousus
4. Wegner's granulomatosis

Correct answer: 4. Wegner's granulomatosis

Explanation: Ans. is 'd' i.e., Wegner's granulomatosis